The female urethra measures about :
1. 15 mm
2. 20 mm
3. 25 mm
4. 35 mm

Correct answer: 4. 35 mm

Explanation: 35 mm